A 25-year old male had pigmented macules over the plam, sole and oral mucosa. He also had anemia and pain in abdomen. The most probable diagnosis is
1. Albright's syndrome
2. Cushing's syndrome
3. Peutz-Jegher's syndrome
4. Incontinentia pigmenti

Correct answer: 3. Peutz-Jegher's syndrome